All true about pisiform, except
1. Last carpal bone to ossify
2. Attached to flexor carpi ulnaris
3. Can be seen on newborn X-ray
4. It is a sesamoid bone

Correct answer: 3. Can be seen on newborn X-ray

Explanation: Ans. Can be seen on newborn X-ray